Which of the following cells is known as large granular lymphocyte (LGL) -
1. Plasma cells
2. NK cells
3. T cells
4. K cells

Correct answer: 2. NK cells

Explanation: NK cells (belonging to the group of innate lymphoid cells) are defined as large granular lymphocytes (LGL) and constitute the third kind of cells differentiated from the common lymphoid progenitor-generating B and T lymphocytes. Reff: Ananthanarayanan & Panikers textbook of microbiology 9th edition pg: 137